Which premolar resembles a canine
1. Maxillary 1st premolar
2. Mandibular 1st premolar
3. Maxillary 2nd premolar
4. Mandibular 2nd premolar

Correct answer: 2. Mandibular 1st premolar

Explanation: Mandibular 1st premolar resembles canine from buccal aspect and it has almost rudimentary lingual cusp which further makes it canine alike.